TCAs are contraindicated in all of the following except?
1. Narrow angle glaucoma
2. Prostate hypertrophy
3. A patient on MOA inhibitors
4. Impaired renal function

Correct answer: 4. Impaired renal function

Explanation: Ans. D. Impaired renal functionCommon Contraindications of TCAsHypersensitivity to the medicinesCardiac conduction abnormalitiesWithin 14 days of MAO inhibitorsUrinary retentionNarrow angle glaucomaProstate enlargementShould be used cautiously in suicidal tendency, schizophrenia, seizure disorders, paranoia, impaired liver functions.Safety in not established in pregnancy and lactation. Not recommended for children less 12years of age.